Which drug should not be given in pregnancy
1. Labetolol
2. ACE inhibitor
3. Hydralizine
4. Methyldopa

Correct answer: 2. ACE inhibitor

Explanation: Refer kDT 6/e p484 ACE inhibitor and ARBs are fetopathic potential, they are contraindicated in pregnancy. Treatment Table 1 Antihypertensive drugs to avoid in pregnancy and preconception ANTIHYPERTENSIVE ADVICE ACE inhibitors Contraindicated Angiotensin receptor blockers Contraindicated Diuretics Avoid